In which case spontaneous regression is not seen?
1. Malignant melanoma
2. Osteosarcoma
3. Neuroblastoma
4. Choriocarcinoma

Correct answer: 2. Osteosarcoma

Explanation: Tumors with spontaneous regression Neuroblastoma Choriocarcinoma Renal cell carcinoma Malignant melanoma Retinoblastoma